Pelvic fracture is associated with:
1. Intraperitoneal bladder rupture
2. Extraperitoneal bladder rupture
3. Anterior urethral injury
4. None

Correct answer: 2. Extraperitoneal bladder rupture

Explanation: "The bony pelvis protects the urinary bladder very well. When the pelvis is fractured by blunt trauma, fragments from the fracture site may perforate the bladder. These perforations usually result in extra peritoneal rupture." — Smith's Urology